"Indican" is a metabolite of
1. Histidine
2. Tryptophan
3. Tyrosine
4. Valine

Correct answer: 2. Tryptophan

Explanation: Indian is a major excretory product in the metabolism of tryptophanRef: DM Vasudevan - Textbook of Biochemistry, 7th edition, page no: 242, fig 18.11